A 30 yr old man with paraplegia, the muscle relaxant should be avoided for tracheal intubation will be
1. Suxamethonium
2. Vecuronium
3. Rocuronium
4. Mivacurium

Correct answer: 1. Suxamethonium

Explanation: Succinylcholine can cause hyperkalemia in paraplegic patients due to proliferation of extrajunctional receptor. Conditions causing susceptibility to succinylcholine-induced hyperkalemia in an order. Myopathies (eg, Duchenne's dystrophy) Spinal cord injury Encephalitis Stroke Guillain-Barre syndrome Severe Parkinson's disease Burn injury Massive trauma Severe intraabdominal infection Tetanus Hence the use of succinyl choline is avoided in all the above conditions.